Best prognostic type of Hodgkin's lymphoma is -
1. Lymphocytic predominant
2. Lymphocytic depletion
3. Mixed cellularhy
4. Nodular sclerosis

Correct answer: 1. Lymphocytic predominant

Explanation: Patients with lymphocytic predominance type of hodgkin's disease tend to have localised form of the disease and have excellent prognosis .

Reference: Harsh mohan textbook of pathology 6th edition pg no 369 & 373